Tubal patency is checked by all of the following except:
1. Hysterosalpingography
2. Laparoscopy
3. Falloscopy
4. Colposcopy

Correct answer: 4. Colposcopy

Explanation: Ans-D (Colposcopy) Colposcopy is used for a cervical lesion (dysplasia & carcinoma)- Shaw's Gynaecology 14th/ 362 "Laparoscopy: The most thorough technique for diagnosing tubal defects ( identify external architecture of tube, visualization of fimbria, identification of tubal obstruction) & peritoneal disease Novak's Gynaecology 14th/ 1217 Hysterosalpingography (HSG) Show's Gynaecology 14th/ 190 # To test patency of the fallopian tubes in infertility7 # To evaluate the result of tuboplasty postoperatively. "Falloscopy: The interstitial end of the fallopian tube can be visualized by falloscop/'- Show's Gynaecology 14th/190 "Sonosalpingography(Sion test!: It is a safe & practical method of evaluating tubal patency (USG + saline)"- Shaw's Gynaecology 14th/1 90